All are true about cohort studies except -
1. Prospective
2. Useful for rare diseases
3. Necessary for incidence
4. Costly

Correct answer: 2. Useful for rare diseases

Explanation: Ans. is 'b' i.e., Useful for rare disease